Forced alkaline diuresis cannot be done in which poisoning
1. Barbiturates
2. Salicylates
3. Alcohol
4. Methotrexate

Correct answer: 3. Alcohol

Explanation: Forced alkaline diuresis It is a method to achieve a urinary pH 7.5 to 9 and promote the excretion of the drug through urine, Eg: salicylates, barbiturates, chlorpropamide, methotrexate. Ref: FORENSIC MEDICINE AND TOXICOLOGY Dr PC IGNATIUS THIRD EDITION PAGE 403